Acanthamoeba Keratitis, not true statment is
1. Common in contact lens users
2. Ring abscess seen
3. Pain is very severe
4. Cultured on Nutrient agar enriched with E.coli

Correct answer: 4. Cultured on Nutrient agar enriched with E.coli

Explanation: Acanthamoeba cultured on non-nutrient agar enriched with E.coli.